Indoor air pollution does not cause –
1. Chronic lung disease
2. Pregnancy problems
3. Childhood pneumonia
4. Neuro-developmental problems

Correct answer: 4. Neuro-developmental problems

Explanation: Effects of indoor air pollution

Acute respiratory tract infections (Pneumonia)
Chronic lung disease
Lung cancers in adults
Adverse pregnancy outcomes (Especially stillbirths)